Deficiency of which of the following vitamin in most commonly seen in short bowel syndrome with ileal resection -
1. Vitamin B12(Cyanocobalamine)
2. Vitamin B1 (Thiamine)
3. Folic Acid
4. Vitamin K

Correct answer: 1. Vitamin B12(Cyanocobalamine)